All are true about Migratory motor complex except
1. Also knows as Broom sticks of GIT
2. It starts immediately after meals
3. It is controlled by motilin hormone
4. It clears contents of stomach and small intestine in between the meals

Correct answer: 2. It starts immediately after meals

Explanation: Migratory motor complex resumes 90 - 120 mins after the meal and occurs at interval of 90 mins till next meal.